Lathyrism results due to:
1. Aflatoxin
2. BOAA
3. Pyruvic acid
4. Sanguinarine

Correct answer: 2. BOAA

Explanation: BOAA